All of the following statements regarding benefits of combined OCP are TRUE, EXCEPT:
1. It decreases the risk of ectopic pregnancy
2. It decreases the risk of cervical cancer
3. It improves dysmenorrhea from endometriosis
4. It decreases the incidence and severity of acute salpingitis

Correct answer: 2. It decreases the risk of cervical cancer

Explanation: In current combined OCP users the risk of developing cervical dysplasia and cervical cancer is increased, but this risk declines after the use is discontinued. Benefits of use of combined OCP are: Improvement of acne Prevention of atherogenesis Inhibition of hirsutism progression Decreases risk of ectopic pregnancy Decreases activity of rheumatoid arthritis Improves dysmenorrhea from endometriosis Decreases risk of endometrial and ovarian cancer Reduces various benign breast diseases Reduces menstrual blood loss and anemia Decreases the incidence and severity of acute salpingitis Ref: Cunningham F.G., Leveno K.J., Bloom S.L., Hauth J.C., Rouse D.J., Spong C.Y. (2010). Chapter 32. Contraception.